The WORST prognosis in patients with endometrial carcinoma is found in patients with tumour involvement of the
1. Uterine cervix
2. Upper vagina
3. Bladder mucosa
4. Parametrium

Correct answer: 3. Bladder mucosa

Explanation: Involvement of the bladder mucosa constitutes a stage IV tumour. The other examples given are either stage II or III. The more advanced the stage of a tumour, the worse the prognosis.